Kinase require
1. Mn++
2. Cu++
3. Mg++
4. Inorganic phosphate

Correct answer: 3. Mg++

Explanation: Mg++ is the activator of many enzymes requiring ATP. Alkaline phosphatase, hexokinase, fructokinase, phosphofructokinase, adenyl cyclase, cAMP-dependent kinases, etc. need magnesium.Ref: DM Vasudevan, Page no: 420